How will you localize pheochromocytoma :
1. Clinical examination
2. VMA excretion
3. CT scan
4. X-ray

Correct answer: 3. CT scan

Explanation: Radiologic studies are useful to localize Pheochromocytoma and to assess the extent of spread once the diagnosis has been made with biochemical tests. CT scans are 85 to 95% sensitive and 70 to 100% specific for pheochromocytomas. CT scans do not provide functional information and cannot definitively diagnose pheochromocytomas. MRI scans are 95% sensitive and almost 100% specific for pheochromocytomas because these tumors have a characteristic appearance on T2-weighted images or after gadolinium. MRI is also the study of choice in pregnant women as there is no risk of radiation exposure. Ref : Lal G. (2010). Chapter 38. Thyroid, Parathyroid, and Adrenal. In T.R. Billiar, D.L. Dunn (Eds), Schwartz's Principles of Surgery, 9e.